Band test is done in:
1. RA
2. SLE
3. Scleroderma
4. PAN

Correct answer: 2. SLE

Explanation: Ans. (b) SLE(Ref: Dubois' Lupus Erythematosus pg 542)Lupus Band testA diagnostic procedure used to detect deposits of immunoglobulins and complement components along the dermo-epidermal junction in patients with SLE & cutaneous lupusIt is positive in about 70%-80% of sun-exposed & 55% of sun-protected non-lesional skin specimens obtained from patients with SLE